Breakfast, Lunch and dinner sign
1. Bed bug
2. Mite
3. Ant
4. Tick

Correct answer: 1. Bed bug

Explanation: Bed bugs classically form a line of bites colloquially referred to as " breakfast lunch and dinner" sign and rarely feed in the armpit or behind the knees which may help differentiate it from other hitting insects. Ref: wikipedia